Which is an abnormal lipoprotein ?
1. VLDL
2. Chylomicron
3. Lp (a)
4. LDL

Correct answer: 3. Lp (a)

Explanation: Ans. is 'c' i.e., Lp (a) Some people have a special type of abnormal LDL called lipoprotein (a) or Lp (a), containing an additional protein, apoprotein-a.Elevated LPa levels are associated with an increased risk of CHD.